Which is the shortest stage in sex cycle?
1. Excitement
2. Resolution
3. Orgasm
4. Desire phase

Correct answer: 3. Orgasm

Explanation: Orgasm phase has the shortest duration and lasts for 3-15 seconds There are 4 stages seen in this cycle- 1. Desire- Characterized by a desire to have a sexual act. 2.Excitement(Arousal)- In this physiological changes are seen like erection in males, vaginal lubrication in females. 3.Orgasm- It is the smallest phase , in males peaking of pleasure along with ejaculation and in females there is involuntary contraction of vagina 4. Resolution- Body goes back to its normal state, lasts for 10 - 15 minutes or may continue for half a day in the absence of orgasm.